According to the 2010 WHO criteria what are the characteristics of normal semen analysis?
1. Volume 2.0 mL, count 20 million, morphology 4% progressive motility 32%
2. Volume 1.5 mL, count 15 million, morphology 4% progressive motility 32%
3. Volume 2.0 mL, count 15 million, morphology 40% progressive motility 32%
4. Volume 1.5 mL. count 20 million, morphology 4% progressive motility 32%

Correct answer: 2. Volume 1.5 mL, count 15 million, morphology 4% progressive motility 32%

Explanation: Ans: B. Volume 1.5 mL, count 15 million, morphology 4% progressive motility 32% (Ref Dutta 6/e p222)According to 2010 WHO criteria:Characteristics of normal semen analysis:Semen CharacteristicsWHO 1999WHO 2010Volume (ml)Greater or equal to 2 mlGreater or equal to 1.5 mlSperm countGreater or equal to 20 Greater or equal to 15 million/mlTotal sperm countGreater or equal to 40 million per ejaculateGreater or equal to 39 million per ejaculateTotal motilityGreater or equal to 50%Greater or equal to 40%Progressive motilityGreater or equal to 25%Greater or equal to 32%VitalityGreater or equal to 75%Greater or equal to 58%Morphology (Normal form)14%Greater or equal to 4%Leukocyte count (104/m1)<1<1